The most common etiology of posterior staphyloma is ?
1. Trauma
2. Glaucoma
3. Degenerative axial myopia
4. Scleritis

Correct answer: 3. Degenerative axial myopia

Explanation: Ans. is 'c' i.e., Degenerative axial myopia